Sixth cranial nerve palsy of left eye causes
1. Accommodation paresis in left gaze
2. Ptosis of left eye
3. Adduction weakness of left eye
4. Diplopia in left gaze

Correct answer: 4. Diplopia in left gaze

Explanation: (Refer: AK Khurana Comprehensive Ophthalmology, 6th edition, pg no. 336 - 361)Sixth nerve supplies lateral rectus, therefore its palsy results in abduction weakness (not adduction weakness).In left gaze, there is the abduction of left eye and adduction of the right eye. If there is paralysis of lateral rectus of the left eye (6th nerve paralysis), abduction of left eye will not be possible in left gaze, while adduction of the right eye is normal. Therefore, there will be diplopia in left gaze.